Perversion associated with the compulsive usage of an inanimate object to obtain sexual gratification is called
1. Frotteurism
2. Transvestism
3. Voyeurism
4. Fetishism

Correct answer: 4. Fetishism

Explanation: Refer the byte "Sexual perversions and Infanticide".